Cidofovir is-
1. Antiviral
2. Antifungal
3. Antihelmenthic
4. Antibacterial

Correct answer: 1. Antiviral

Explanation: Ans. is 'a' AntiviralCidofoviro It is an antiviral drug.o It is a monophosphate nucleotide analog of cytidine which inhibits most DNA viruses including HSV, CMV, pox and adenoviruses.o It is used for the treatment of CMV retinitis.